Which of the following malignancy is predominantly associated with osteoblastic metastasis?
1. Renal cell carcinoma
2. Breast carcinoma
3. Prostate carcinoma
4. Thyroid carcinoma

Correct answer: 3. Prostate carcinoma

Explanation: Osteoblastic metastasis are seen in prostate carcinoma. Also know: Other malignancies associated with osteoblastic metastasis are breast carcinoma, Hodgkin's lymphoma, carcinoids and medulloblastomas. Purely osteolytic metastasis commonly arise from carcinoma of lung, kidney, thyroid and lymphoma. Ref: Differential Diagnosis in Conventional Radiology By Francis A. Burgener, 3rd edn, page 110